Preparation of shoulder in anterior tooth is done with:
1. Invested cone bur
2. Plain fissure bur
3. Cross cut fissure bur
4. End cutting bur

Correct answer: 4. End cutting bur